Antigliadin antibodies are detectable in -
1. Tropica sprue
2. Whipple's disease
3. Celiac disease
4. Intestinal lymphoma

Correct answer: 3. Celiac disease

Explanation: Noninvasive serologic tests generally are performed before biopsy. The most sensitive tests are the presence of IgA antibodies to tissue transglutaminase or IgA or IgG antibodies to deamidated gliadin TEXT BOOK OF ROBBINS BASIC PATHOLOGY NINTH EDITION PAGE.579